Absence of dystrophin
1. DMD
2. Myotonic Dystrophy
3. Becker Dystrophy
4. Myasthenia Gravis

Correct answer: 1. DMD

Explanation: ref : harrisons 21st ed